Pinna develops from
1. 1st pharyngeal arch
2. 1st and 3rd pharyngeal arch
3. 1st and 2nd pharyngeal arch
4. 2nd pharyngeal arch

Correct answer: 3. 1st and 2nd pharyngeal arch

Explanation: Pinna

It develops from both 1st and 2nd brachial arches
Period of development starts from 4–6 weeks and adult configuration is attained by 20th week
From the